To be defined as a ganglioside,a lipid substance isolated from nervous tissue must contain
1. NANA,hexose,fatty acid,glycerol
2. NANA,hexose,fatty acid,phosphorycholine
3. NANA,sphingosine,ethanolamine
4. NANA,hexose,sphingosine,long chain fatty acid,

Correct answer: 4. NANA,hexose,sphingosine,long chain fatty acid,

Explanation: Gangliosides are the complex glycosphingolipids derived from glucosylceramide that contain in addition one or more molecules of sialic acid. Neuraminic acid is the principal sialic acid found in human tissues. Gangliosides are present in nervous tissue in high concentration.They help in cell-cell recognition and communication and as receptors for hormones and bacterial toxins. Reference: Harpers illustrated biochemistry 30 th edition